Which of the following statement about the nerve supply of palate is NOT TRUE?
1. Pharyngeal plexus supply muscles of soft palate
2. Tensor veli palatini is supplied by mandibular nerve
3. Anterior branch of pterygopalatine ganglion supplies soft palate
4. Middle and posterior lesser palatine nerves supply soft palate and tonsil

Correct answer: 3. Anterior branch of pterygopalatine ganglion supplies soft palate

Explanation: "Greater or anterior palatine branches of pterygopalatine ganglion supplies hard palate and lateral wall of the nose while the lesser or middle and posterior palatine nerve supply the soft palate and tonsils". All the muscles of the soft palate except tensor veli palatini are supplied by pharyngeal plexus (fibers of the plexus are derived from the cranial part of the accessory nerve through the vagus nerve) Tensor veli palatini is supplied by mandibular nerve. Ref: Snell's Anatomy 8/e, Page 781-85 ; BDC 4/e, Vol.III, Page 210-13, 237